"Programmed cell death" is known as
1. Apoptosis
2. Cell necrosis
3. Aplasia
4. Phagocytosis

Correct answer: 1. Apoptosis

Explanation: (A) Apoptosis # Apoptosis is a form of programmed cell death in multicellular organisms.> Apoptosis is one of the main types of programmed cell death (PCD), and involves an orchestrated series of biochemical events leading to a characteristic cell morphology and death.> It involves an orchestrated series of biochemical events which lead to a variety of morphological changes, including blebbing, changes to the cell membrane such as loss of membrane asymmetry and attachment, cell shrinkage, nuclear fragmentation, chromatin condensation and chromosomal DNA fragmentation.> Apoptotic process is executed in such a way as to safely dispose of cellular debris.# Cells that are induced to commit suicide:> Shrink> Develop bubble-like blebs on their surface;> Have the chromatin (DNA and protein) in their nucleus degraded> Have their mitochondria break down with the release of cytochrome c;> Break into small, membrane-wrapped, fragments.> The phospholipid phosphatidylserine, which is normally hidden within the plasma membrane, is exposed on the surface.> This is bound by receptors on phagocytic cells like macrophages and dendritic cells which then engulf the cell fragments.> The phagocytic cells secrete cytokines that inhibit inflammation (E.g., IL-10 and TGF-b)